80 years old female after fall developed inability to walk with external rotation deformity on examination SLR is not possible and broadening of trochenter is present. The possible diagnosis is:
1. Neck femur
2. Inter trochanteric femur
3. Subtrochanteric femur
4. Greater trochanter

Correct answer: 2. Inter trochanteric femur

Explanation: B i.e. Inter trochanteric femur